All the following are sulphur containing amino acids found in proteins except
1. Cysteine
2. Cystine
3. Methionine
4. Threonine

Correct answer: 4. Threonine

Explanation: Sulfur-containing amino acids: Cysteine, Methionine.
Reference: Vasudevan 7th  ed, pg 24